Progress of the labour is assessed with the help of
1. Cervicograph
2. Partogram
3. Dilatation chart
4. Growth curve

Correct answer: 2. Partogram

Explanation: Ans. B: Partogram The partogram is a series of charted measurements which are used to assess the progress of labour. Partograms are designed to encourage a universal manner of dealing with labour and to give an early, easy way of recognising problems in labour. Information recorded includes: Maternal - BP (2 hourly), heart rate (half hourly), temperature (once unless abnormal), Contractions - length, frequency, strength Baby - heart rate (2 hourly) State of membranes and colour of liquor. Also - maternal state of mind, drugs administered etc.